Which statement with respect to mucoceles is false?
1. Pseudocysts contain viscous saliva but lack a true epithelial lining
2. Patients relate a history of filling, rupture and refilling
3. Preventing recurrence requires removal of associated major salivary gland
4. Preventing recurrence requires removal of associated minor salivary gland

Correct answer: 3. Preventing recurrence requires removal of associated major salivary gland